CD4 count refers to
1. T helper cells
2. B cells
3. Cytotoxic cells
4. Both B And T Cells

Correct answer: 1. T helper cells

Explanation: Helper T-cells → CD4 positive. o Cytotoxic T-cells and suppressor T-cells → CD 8 positive,
Based on function CD4 helper T cells are divided into1. Effector CP4 helper T-cells

Functions are- A.
By TH1 cells
i. Activate macrophages
ii. Delayed hypersensitivity
iii. Cell-mediated immunity
iv. The killing of intracellular microbes. e.g. tuberculosis and leprosy
v. Destruction of target cells by.
Activate CDS T cells to become cytotoxic cells. b. Activate NK cells B By TH2 celts
i) Activate B cells to develop into anybody producing plasma cells → facilitate the synthesis of antibodies.
2. Memory CD4 helper T cells □ Retain the antigenic affinity of the originally activated T cells and are used to act as later effector cells during a second immune response.